In a patient, corneal scraping reveals narrow angled septate hyphae, which of the following is the likely etiological agent
1. Mucor
2. Aspergillus
3. Histoplasma
4. Candida

Correct answer: 2. Aspergillus

Explanation: Aspergillus has non pigmented septate hyphae with characteristic dichotomous branching at an angle of approximate 45degrees. it causes superficial infections like sinusitis, otomycosis and mycotic keratitis. Ref: Textbook of Microbiology, Ananthanarayan and Paniker; 9th edition .